A patient presents with neck node and B type tympanogram. Diagnosis is
1. Acoustic neuroma
2. Nasopharyngeal carcinoma
3. Angiofibroma
4. None

Correct answer: 2. Nasopharyngeal carcinoma

Explanation: Due to the obstruction of the eustachian tube, there is a conductive hearing loss with serious or suppurative otitis media. Tinnitus and dizziness may occur. Presence of unilateral serous otitis media in an adult should raise suspicion of nasopharyngeal growth. A lump of nodes is found between the angle of the jaw and the mastoid and some nodes along with the spinal accessory in the posterior triangle of the neck. Nodal metastases are seen in 75% of the patients, (Ref: Diseases of Ear, Nose and Throat, PL Dhingra, 7th edition, page 284)